In adults , blood culture ratio of blood to reagent is -
1. 1:05
2. 1:20
3. 1:10
4. 0.111111111

Correct answer: 3. 1:10

Explanation: Blood Culture - For Adults ,the blood is inoculated into the bottle containing blood culture medium in a blood to broth ratio of 1:10 In case of children, where the amount of blood drawn is little , a ratio of 1:5 may be achieved.